The part of the male urethra where the urethral crest is situated in is:
1. Penile urethra
2. Pre-prostatic urethra
3. Prostatic urethra
4. Membranous urethra

Correct answer: 3. Prostatic urethra

Explanation: The Urethral Crest is a midline, longitudinal, ridge like projection of mucosa which lies on the posterior wall of prostatic urethra.Ref: Clinical Anatomy By Richard S. Snell, 6th edition, Pages 327, 370; Clinical Anatomy (A Problem Solving Approach) By Neeta V Kulkarni, 2nd edition, Pages 791, 792.